Polycystic ovarian disease is associated with :
1. Ovarian cancer
2. Endometrial carcinoma
3. Congenital adrenal hyperplasia
4. Vaginal carcinoma

Correct answer: 2. Endometrial carcinoma

Explanation: Endometrial carcinoma